All of the following cells are associated with chronic inflammation except one. Which one is the exception?
1. Macrophages
2. Neutrophils
3. T lymphocytes
4. B lymphocytes

Correct answer: 2. Neutrophils

Explanation: Neutrophils are quick to arrive at the site of infection or injury and are therefore associated with acute inflammation. All of the other cells listed are mediators of chronic inflammation.